Drugs indicated in drug induced vomiting are all except:
1. Metoclopramide
2. Hyoscine
3. Ondansteron
4. Chlorpromazine

Correct answer: 2. Hyoscine

Explanation: Ans: B i.e. Hyoscine Anti-emetic drugs Metoclopramide is an effective and popular drug for many types of vomiting - postoperative, drug induced, disease associated (migraine), radiation sickness, etc. Hyoscine is the most effective antiemetic drug for motion sickness and is not effective in vomiting of other etiologies Ondansetron belongs to a new class of antiemetic drugs developed to control cancer chemotherapy/radiotherapy induced vomiting Neuroleptics/antipsychotics have broad spectrum antiemetic action effective in drug induced and post-anaesthetic nausea and vomiting etc.